Thompson's Operation for Lymphoedema is
1. Bypass procedure
2. Excisional surgery
3. Physiological shunting
4. Both excisional and shunting

Correct answer: 4. Both excisional and shunting

Explanation: In Thompson's operation, both excision and creation of communication between superficial and deep lymphatics is done.